Inversion and eversion of foot occur at which joint
1. Subtalar
2. Tibiotalar
3. Inferior tibiofibular
4. Ankle

Correct answer: 1. Subtalar

Explanation: Joint Movement Subtalar joint Inversion and Eversion of foot Ankle joint hinge - like dorsiflexion & plantar flexion of foot on leg Inferior tibiofibular joint Permits slight movements, so that lateral malleolus can rotate laterally during dorsiflexion of ankle Tibiotalar joint hinge joint contributes to plantar & dorsiflexion motion of foot